Which of the following conditions is associated with microcytic hypochromic anemia
1. Sickle cell anemia
2. Thalassemia
3. Fanconi's anemia
4. Hereditary spherocytosis

Correct answer: 2. Thalassemia

Explanation: Ref Harrison 19 th ed pg 637 Hypochromia and microcytosis characterize all forms of b thal- assemia because of the reduced amounts of hemoglobin tetramers . In heterozygotes (b thalassemia trait), this is the only abnormality seen. Anemia is minimal. In more severe homozygous states, unbalanced a- and b-globin accumulation causes accumulation of highly insoluble unpaired a chains. They form toxic inclusion bod- ies that kill developing erythroblasts in the marrow. Few of the pro- erythroblasts beginning erythroid maturation survive. The surviving RBCs bear a burden of inclusion bodies that are detected in the spleen, shortening the RBC life span and producing severe hemolytic anemia